Which of the following is seen in second degree AV block -a) Change in morphology of ventricular complexb) Increased atrial rate compared to ventricular ratec) Increase in cardiac outputd) Decrease in stroke volumee) Increased AV conduction time
1. abc
2. bcd
3. abe
4. acd

Correct answer: 3. abe